Which of the following is/ are the cause/s of unilateral elevation of hemidiaphragm?
1. Pulmonary hypoplasia
2. Subphrenic infection
3. Phrenic nerve palsy
4. All the above

Correct answer: 4. All the above

Explanation: Answer- D. All the abovePosture - Lateral decubitus position (dependent side)Gaseous distension of stomach or colonDorsal scoliosisPulmonary hypoplasiaPulmonary collapsePhrenic nerve palsyEventrationPneumonia or pleurisyPulmonary thromboembolismRib fracture and other painful conditionsSubphrenic infectionSubphrenic mass